Which of the following is not rate-limiting enzyme?
1. ALA synthase
2. Phosphofructokinase
3. Acetyl CoA carboxylase
4. Malonate dehydrogenase

Correct answer: 4. Malonate dehydrogenase

Explanation: 1. Factors Regulating Glycolysis- Phosphofructokinase (PFK) is the most important rate-limiting enzyme for glycolysis pathway. ATP and citrate are the most important allosteric inhibitors. AMP acts as an allosteric activator. 2. Fatty acid synthesis - The first step in the fatty acid synthesis is the carboxylation of acetyl CoA to form malonyl CoA. The acetyl CoA carboxylase is not a part of the multienzyme complex. But it is the rate-limiting enzyme. Biotin, a member of B complex vitamins, is necessary for this reaction. 3. ALA synthesis - The synthesis starts with the condensation of succinyl CoA and glycine in the presence of pyridoxal phosphate to form delta amino levulinic acid (ALA). Hence anemia may be manifested in pyridoxal deficiency. The enzyme ALA synthase is located in the mitochondria and is the rate-limiting enzyme of the pathway. Ref: DM VASUDEVAN TEXTBOOK OF BIOCHEMISTRY, EIGHTH EDITION,PG.NO.,133,199,326.